HbA2 is increased In -
1. Alfa-thalassemia
2. Iron deficiency anemia
3. Beta-thalassemia
4. Sickle cell trait

Correct answer: 3. Beta-thalassemia

Explanation: In beta thalassemia , hemoglobin electrophoresis shows presence of increased amounts of HbF,HbA2 and complete absence or presence of variable amounts of HbA.The increased level of HbA2 has not been found in any other hemoglobin abnormality except beta thalassemia .

Harsh mohan textbook of pathology 6th edition pg no324.